Thiazides can cause :
1. Hyperkalemic paralysis
2. Hypouricemia
3. Hypolipidemia
4. Impotence

Correct answer: 4. Impotence

Explanation: Antihypertensive agents like thiazides and p-blockers can cause impotence. It is maximum with thiazides among anti-hypertensive drugs and is thought to be due to volume depletion.